Rhinolith can cause
1. Nasal obstruction
2. Foul smelling discharge
3. Pain
4. All of the above

Correct answer: 4. All of the above

Explanation: Ans. is 'd' i.e., All of the above * Rhinoliths are mineralized (calcified) foreign bodies in the nasal cavity that are a chance finding at anterior rhinoscopy. Rhinolith forms around the nucleus of a small exogenous foreign body or blood clot when calcium and phosphate deposit around it, i.e. mineralization around a foreign body. Clinical features include:-# More common in adults# Presents as unilateral nasal obstruction and foul smelling discharge (often blood stained)# Ulceration of the surrounding mucosa may lead to frank epistaxis and neuralgic pain.# Other symptoms may be headach, sinusitis and epiphora.